Prolactin is synthesized in
1. Pituitary
2. Hypothalamus
3. Pineal gland
4. Thalamus

Correct answer: 1. Pituitary

Explanation: Prolactin- a hormone secreted by the anterior pituitary gland that promotes the growth of breast tissue and stimulates and sustains milk production in postpartum mammals, and shows luteotropic activity in certain mammals. Called also lactogenic hormone and mammotropin.Ref: Ganong's review of medical physiology;24th edition; page no:-416